In a young patient who had extensive soft tissue and muscle injury, which of these muscle relaxants used for endotracheal intubation might lead to cardiac arrest –
1. Atracurium
2. Suxamethonium
3. Vecuronium
4. Pancuronium

Correct answer: 2. Suxamethonium

Explanation: Sch can cause dangerous hyperkalemia in patients with extensive soft tissue & muscle injury (crush injury) which may cause cardiac arrest.